Positive hepatojugular reflux is found in
1. Tricuspid regurgitation
2. Left heart failure
3. Decreased after load
4. decreased capillary bed pressure

Correct answer: 1. Tricuspid regurgitation

Explanation: As is the case for TS, the clinical features of TR result primarily from systemic venous congestion and reduction of CO. With the onset of TR in patients with PA hypertension, symptoms of pulmonary congestion diminish, but the clinical manifestations of right-sided heart failure become intensified. The neck veins are distended with prominent v waves and rapid y descents, marked hepatomegaly, ascites, pleural effusions, edema, systolic pulsations of the liver, and a positive hepatojugular reflex. ref : Harrison's principle of internal medicine,20th edition,pg no.1948